Maternal serum Alpha-fetoprotein is raised in all the following conditions EXCEPT:
1. Spina bifida
2. Multiple pregnancy
3. Omphalocele
4. Down's syndrome

Correct answer: 4. Down's syndrome

Explanation: Ans. D. Down's syndromeCauses of Raised MSAFPa. Upper GI obstructionb. Wrong dates (under-estimation)c. Obstructive uropathyd. NTDe. Feto-maternal haemorrhagef. Congenital nephrosisg. CAML (Cystic adenomatoid malformation of the lung)h. Placental/cord tumorsi. Sacrococcygeal teratomaj. Multiple pregnancyk. Maternal liver diseasel. Male fetuses have higher MSAFPm. Abdominal wall defectsn. Afro-Caribbean ethnic backgroundo. Associated with increased risk of IUD/PPROM/IUGR/oligohydramnios/pre-eclampsiap. Smoking